All of the following are true of atrial fibrillation EXCEPT
1. Occurs in rheumatic mitral stenosis
2. May cause thromboembolic complications
3. Pulse is irregularly irregular
4. Associated with sinus bradycardia

Correct answer: 4. Associated with sinus bradycardia